All of the following diseases are associated with trinucleotide repeat sequence except:
1. Huntington's disease
2. Fredreich's ataxia
3. Myotonica dystrophy
4. Hereditary motor-sensory neuropathy

Correct answer: 4. Hereditary motor-sensory neuropathy

Explanation: Rest of the options are associated with trinucleotide repeat sequence. Triple-repeat mutations (Allelic expansion disorders) Due to an increase in the number of nucleotide repeats above a certain threshold Length of the nucleotide repeat often correlates with the severity of the disease Anticipation: When repeat length increases from one generation to the next, disease manifestations may worsen or be observed at an earlier age. Disease Repeats Clinical features Fragile X-Syndrome CGG Intellectual disability, large ears and jaws, macroorchidism in males Myotonic Dystrophy (Chromosome 19) CTG Muscle loss, cardiac arrhythmia , cataracts , frontal balding Huntington's disease CAG Affective disorder Spinocerebellar ataxia type 1 CAG Progressive ataxia, dysarthria, dysmetria Friedreich's ataxia GAA Progressive ataxia, dysarthria , hypertrophic cardiomyopathy Ref: Nelson textbook of Medical Physiology 21st edition Pgno: 647